Derivatives of the neural crest are the following EXCEPT:
1. Cortex of suprarenal gland
2. Spinal ganglia
3. Sensory ganglia of cranial nerves
4. Sympathetic ganglia

Correct answer: 1. Cortex of suprarenal gland

Explanation: Key Concept: 
The neural crest cells differentiate to form cells of dorsal root ganglia, sensory ganglia of cranial nerves, autonomic ganglia, adrenal medulla, chromaffin tissue, melanocytes, and Schwann cells.
Medulla of suprarenal (Adrenal) glands is derived from neural crest cells and cortex of suprarenal glands are mesodermal derivatives.